During which phase of the cell cycle the cellular content of DNA is doubled -
1. Mitotic phase
2. G1 phase
3. G2 phase
4. S phase

Correct answer: 4. S phase

Explanation: There are two resting phases and two active phases in the cycle.
Resting phases → G1 & G2
Active phases


S-phase (synthetic phase) - As the name suggests, synthesis of new DNA takes place, i.e. doubling of DNA occurs.
M-phase (mitotic phase) - Mitosis takes place and the daughter cells receive one copy of DNA. In this phase, cell number is doubled.